Verapamil is contraindicated in
1. Hypertension
2. Complete heart block
3. Paroxysmal supraventricular tachycardia
4. Angina pectoris

Correct answer: 2. Complete heart block

Explanation: Ans. b (Complete heart block). (Ref. KDT, Pharmacology, 4th ed., 530)# VERAPAMIL can accentuate conduction defects, hence contraindicated in II and III degree AV blocks and precipitates congestive heart failure in patients with pre-existing disease.# Cardiac arrest can occur in patients with sick sinus syndrome.CALCIUM CHANNEL ANTAGONISTSDrugIndicationContraindications/CautionsFrequent or peculiar side EffectsDihydropyridines:# Nifedipine XL# Amlodipine# Felodipine XL# Isradipine# NicardipineMild to moderate hypertensionHeart failure, 2nd or 3rd degree heart blockTachycardia, flushing, gastro- intestinal disturbances, hyperkalemia, edema,headache.Benzothiazepines:DeltiazemMild to moderate HypertensionHeart failure, 2nd or 3rd degree heart blockSame as amlodipine, except no tachycardia or edema, but can cause heart block, constipation, and liver dysfunction.Phenylalkylamine: VerapamilMild to moderate HypertensionHeart failure, 2nd or 3rd degree heart block.Nausea, Constipation and Bradycardia